Orphan Annie-eye nuclei seen in
1. Papillary carcinoma of thyroid
2. Medullary carcinoma of thyroid
3. Anaplastic carcinoma of thyroid
4. Follicular carcinoma of thyroid

Correct answer: 1. Papillary carcinoma of thyroid

Explanation: Ground-glass cytoplasmic inclusions (Orphan Annie eyes) confirm the diagnosis of papillary carcinoma of the thyroidPapillary carcinoma is the most common thyroid malignancy.The disease is known for its propensity for lymph node metastasesRef: Bailey and love, page no: 818